The effect of sucking habit
1. Is less favourable in vertical growth tendency than horizontal growth tendency.
2. Is less favourable in horizontal growth tendency than vertical growth tendency.
3. Any of the above can be true
4. None of the above

Correct answer: 1. Is less favourable in vertical growth tendency than horizontal growth tendency.